Sorghum contains excess of
1. Lycine
2. Arginine
3. Leucine
4. Histidine

Correct answer: 3. Leucine

Explanation: Ans. is 'c' i.e., Leucine o Jowar (Sorghum) contains excess of leucine which can cause niacine deficiency and pellagra.